All the following can be used to predict severe acute pancreatitis except:-
1. Glasgow score >= 3
2. APACHE II score >= 8
3. CT severity score >= 6
4. C-reactive protein <100

Correct answer: 4. C-reactive protein <100

Explanation: Tools for predicting severity in Acute pancreatitis ready for clinical use On admission At 24 hours At 48 hours APACHE II score >= 8 IL-6 Urea >60 mmol/L Polymorphonuclear elastase Urinary trypsinogen 2 Urinary trypsinogen activation peptide Ranson/Glasgow score >= 3 CRP >= 130 mg/mL